Erythropoietin is secreted by A/E:
1. Hemangioblastoma
2. Hepatoma
3. Renal cell carcinoma
4. Adrenocortical tumours

Correct answer: 4. Adrenocortical tumours

Explanation: Di.e. Adrenocortical tumour